Temporalis muscle is inserted into
1. Condylar process
2. Coronoid process
3. Lingula
4. Ramus of mandible nerve

Correct answer: 2. Coronoid process